Risk of breast cancer is highest in
1. Lobular carcinoma in situ
2. Proliferative disease without atypia
3. Proliferative disease with atypia
4. Atypical ductal hyperplasia

Correct answer: 1. Lobular carcinoma in situ

Explanation: Atypical ductal or lobular hyperplasia are proliferative disease with atypia. Lobular carcinoma in situ carries the highest riskHISTOLOGIC DIAGNOSIS ESTIMATESRRNonproliferative disease1.0Proliferative disease without atypia1.3-1.9Proliferative disease with atypia3.7-4.2Proliferative disease with atypia and strong family history4-9LCIS >7Ref: Sabiston 20e, page: 832